Intestional absorption of Calcium is decreased by
1. Proteins
2. Lactose
3. Phytic Acid
4. Acidity

Correct answer: 3. Phytic Acid